Allantoin is the end product of metabolism of ?
1. Glycogen
2. Purine
3. Pyrimidine
4. Histidine

Correct answer: 2. Purine

Explanation: In non-primate mammals, end product of purine metabolism is allantoin due to presence of enzyme uricase. Uricase convertes uric acid to allantoin. Humans lack the enzyme uricase. Therefore, end product of purine catabolism in humans is uric acid REF: Lippincott book of biochemistry 6th ed.